Ram Devi presented with generalized edema sweating and flushing tachycardia and fever after bee sting. This is :
1. T cell mediated cytotoxicity
2. IgE mediated reaction
3. IgG mediated reaction
4. IgA mediated hypersensitivity reaction

Correct answer: 2. IgE mediated reaction

Explanation: Ans. is 'b' i.e. IgE mediated reaction The symptoms of the patient are d/t hypersensitivity type I reaction Type I is mediated by IgE and it flairs up within minutes.The symptoms range from rashes to anaphylactic shock with vasodilatory hypotension and bronchiolar spasm.Examples of type IEczema*Hay fever*Asthma*Anaphylactic shock*Urticaria*A cute dermatitis *Theobald Smith reaction *Other hypersensitivity reactionsType IIis characterized by an antigen antibody reaction on the surface of a host cell*.Mediated by IgG or IgM.ExamplesBlood transfusion reactions *Transplant rejection *Auto immune hemolytic anaemia*Auto immune thrombocytopenic purpura *Diabetes disease*Good pasture's syndrome *Grave's disease*Myasthenia gravis*PemphigusPernicious anaemia*Rheumatic fever*Type HI reactionsMediated by antigen / antibody complex*.ExamplesPAN*Post streptococcal glomerulonephritis*Rheumatoid arthritis*Systemic lupus erythematosis*Acute viral hepatitis*Penicillamine toxicity*Serum sickness*Arthus reaction*Type IV reactionCell mediated reaction (delayed hypersensitivity)*.ExamplesTuberculosis*Sarcoidosis*Temporal arteritisContact dermatitis* (not that acute dermatitis in type I)Lepromin test*Patch test*PPD*